What will happen if insulin alone us given rapidly in diabetic ketoacidosis
1. Hypokaelemia
2. Hypernatremia
3. Hyperkalemia
4. Hypocalcemia

Correct answer: 1. Hypokaelemia

Explanation: Refer CMDT 2010/1114 Insulin result in shift of potassium into the cells and this thus can result in Hypokaelemia